A wetting agent enhances
1. Adhesion
2. Cohesion
3. Surface tension
4. Ionic bonding

Correct answer: 1. Adhesion